In deep transverse arrest the delivery of baby is conducted by :
1. Cesarean section
2. Vacuum extraction
3. Keilland forcep and Manual rotation and forcep delivery both
4. All of the above

Correct answer: 4. All of the above

Explanation: Ans. is a, b and c i.e. Cesarean section; Vaccum extraction; Keilland forcep; and Manual rotation and forcep delivery In case of occipto posterior position if partial anterior rotation occurs the head is arrested with the sagittal suture in the transverse diameter at the level of the ischial spines, after full dilatation of the cervix in spite of good uterine contractions. This condition is called as Deep Transverse Arrest. It occurs more commonly in android pelvis. Note : In most centres now a days, either cesarean section or vaccum extraction is performed, due to lack of experience in forceps rotation and manual rotation. It is extremely important to remember that if vaccum or forceps fails, no attempt should be made to persist with vaginal delivery. The procedure should be abandoned and immediate cesarean section undertaken. In late and neglected cases if the fetus is dead. craniotomy is an option in experienced hands. However, now days most obstetricians would prefer to perform cesarean section in cases of obstructed labour, even when the fetus is dead.